Test used for presence of residual helicobacter pylori infection
1. Urease breath test
2. Rapid urease test
3. Gastric biopsy
4. Serological markers

Correct answer: 1. Urease breath test

Explanation: Urease breath test is used for both diagnosis and eradication.